The commonest valvular lesion in SLE-related cardiac disease is-
1. Tricuspid regurgitation
2. Mitral regurgitation
3. Mitral stenosis
4. Aortic regurgitation

Correct answer: 2. Mitral regurgitation

Explanation: Valvular involvement is the most encountered form of heart disease in systemic lupus erythematosus (SLE). Immunoglobulin and complement deposition in the valvular structure will subsequently lead to Libman-Sacks vegetations, valve thickening, and valve regurgitation. Valvular stenosis is rarely seen.resulting in mitral regurgitation Ref Davidson 23rd edition pg 455